Atropine is used for following except:
1. Organophosphorus posioning
2. Mushroom poisoning
3. Physostigmine overdose
4. Glaucoma

Correct answer: 4. Glaucoma

Explanation: D i.e. Glucoma Atropine is contraindicated in narrow angle glucomaQ. Atropine is used as antidote for various poisons with cholinergic symptoms as - Anticholine Esterase (Organophosphorus) poisoning, Neostigmine / Pyridostigmine / Plzysostigmine overdose, Mushroom poisoningQ